LT antagonists are used in asthma for -
1. Along with beta agonists to reduce steroids
2. In place of beta blockers as sole therapy
3. Prophylactic therapy for mild to moderate asthma
4. Definitive therapy in acute attack of asthma

Correct answer: 3. Prophylactic therapy for mild to moderate asthma

Explanation: Ans. is 'c' i.e., Prophylactic therapy for mild to moderate asthma o Monteleukast and zafirleucast are cvstenyl LT] (cvs LT]) receptor antagonists.o They are indicated for prophylactic therapy of mild to moderate asthma as alternatives to inhaled glucocorticoids.Leukotriene antagonistso Monteleukast and zafirleucast are cystenyl LTj (cys LT() receptor antagonists.o They are indicated for prophylactic therapy of mild to moderate asthma as alternatives to inhaled glucocorticoids.o They are more acceptable in children,o They are not used for terminating asthma episodes,o They are effective in aspirin induced asthma.o They are very safe drugs, produce few side effects like headache and rashes,o Eosinophilia, neuropathy and churg-strauss syndrome are other rare side effects.